Multienzyme complex in humans
1. Fatty acid synthetase
2. Malonyl CoA Carboxylase
3. Carbamoyl phosphate synthetase
4. Adenosine phosphoribosyl transferase

Correct answer: 1. Fatty acid synthetase

Explanation: Fatty acid synthetase 

Enzymes used in the fatty acid synthesis are multienzyme complexes:-


Acetyl-CoA carboxylase
Fatty acid synthase